Dementia in ICD 10 is classified under
1. F00
2. F10
3. F20
4. F30

Correct answer: 1. F00

Explanation: ICD CHAPTERS ICD is a text book for classification of psychiatric disorders. The below table comprises chapter numbers dealing with various psychiatric disorders. Ref.Kaplon and Sadock, synopsis of Psychiatry, 10th edition